All of the following are used for myoclonic seizures except
1. Sodium valproate
2. Zonisamide
3. Carbamazepine
4. Topiramate

Correct answer: 3. Carbamazepine

Explanation: Carbamazepine produces dose-related neurotoxicity-sedation, dizziness, vertigo, diplopia and ataxia. Vomiting, diarrhoea, worsening of seizures are also seen with higher doses Ref KD TRIPATHIH 8TH ED.